Levodopa can aggravate which of the following malignancy
1. Squamous cell cancer
2. Pleomorphic adenoma
3. Basal cell carcinoma
4. Malignant melanoma

Correct answer: 4. Malignant melanoma

Explanation: Dopamine is a preursor of melanin & hence L-Dopa should be used cautiously in cases of Malignant Melanoma.